Middle conchae of nose are a part of?
1. Nasal Bone
2. Ethmoid
3. Vomer
4. Maxilla

Correct answer: 2. Ethmoid